Commonly encountered complication during extraction of maxillary third molar is
1. Oro-antral communication
2. Root displacement into sinus
3. Excessive hemorrhage
4. Fracture of the maxillary tuberosity

Correct answer: 4. Fracture of the maxillary tuberosity